Introduction of DNA with the help of electricity is
1. Electrotransfer
2. Electroporation
3. Eelectrofusion
4. Electrolysis

Correct answer: 2. Electroporation